Toxin acting on cGMP-
1. Heat stable E. coli toxin
2. Heat labile E. coli toxin
3. Cholera toxin
4. Shiga toxin

Correct answer: 1. Heat stable E. coli toxin

Explanation: Ans. is 'a' i.e., Heat stable E. coli toxin . Cholera toxin (CT) and labile toxin of E.coli (LT) act by activating cAMP. . Stable toxin of E.coli acts by activating cGMP. Remember . Though the mechanism of labile toxin of E.coli (LT) and cholera toxin (CT) is same, cholera toxin is about a hundred times more potent than LT.